True about Ribozyme:
1. Peptidyl Transferase activity
2. Cuts DNA at specific site
3. Participate in DNA Synthesis
4. GTPase activity

Correct answer: 1. Peptidyl Transferase activity

Explanation: Ans. A. Peptidyl Transferase activity(Ref: Harper 31/e p396)Ribozyme is RNA with catalytic activity.E.g.: SnRNA in Spliceosome-Takes part in splicing of exons and removal of intronsRibonuclease P--Cuts the RNAPeptidyl Transferase: Peptide Bond formation other optionsCuts the DNA at specific site--Restriction EndonucleaseDNA Synthesis--DNA Polymerase